A person has inability to look downward and laterally. The nerve injured is
1. Occulomotor
2. Trochlear
3. Abducent
4. Trigeminal

Correct answer: 2. Trochlear

Explanation: B i.e. Trochlear